Innervated structures of joints are all except ?
1. Synovium
2. Capsule
3. Articular cartilage
4. Ligaments

Correct answer: 3. Articular cartilage

Explanation: Ans. is 'c' i.e., Articular cartilageCharacteristic features of articular cartilage 1) Hyaline cartilage2) No innervation (no nerve supply).3) No blood supply (avascular).4) No lymphatics5) Only hyaline cartilage which has no perichondrium.6) No ability to repair or regenerate itself.